Anemia of chronic renal failure -a) Normocytic normochromic anaemiab) Erythropoietin improves the symptomsc) Dialysis causes severe anemiad) Anemia is proportional to the kidney disease
1. acd
2. bcd
3. abd
4. ab

Correct answer: 3. abd